Arousal response is mediated by
1. Dorsal column
2. Reticular activating system
3. Spinothalamic tract
4. Vestibulo cerebellar tract

Correct answer: 2. Reticular activating system

Explanation: Arousal response in cerebral cortex is activated by stimulation of Reticular activating system.